Surgical orthodontic treatment is required in:
1. Maxillary teeth proclined
2. Abstraction
3. Skeletal Class III
4. None of the above

Correct answer: 3. Skeletal Class III

Explanation: Proclination correction and abstraction are usually done with fixed therapy itself.